A 56-year-old male has history of leg pain at rest. Patient also has history of severe coronary artery diseases. He cannot walk two flights of steps without getting short of breath. He underwent evaluation and was noted to have complete aortoiliac occlusive disease. He needs surgery. Which one of the following options is acceptable?
1. Aortobililiac bypass
2. Aortobifemoral bypass
3. Aortoiliac angioplasty and stent placement
4. Axillobifemoral bypass

Correct answer: 4. Axillobifemoral bypass

Explanation: The treatment goal in these patients is to reestablish blood flow to the lower extremity. The treatment is based on the findings at angiogram. All the treatment options are valid and are used in treatment of the aortoocclusive disease. Patients with short-segment (TASCA) stenosis in common iliac artery are treated with angioplasty and/or stent placement and the patency results are expected to be comparable to surgery. In patients with long-segment stenosis and good risk patient treatment options would include aortobifemoral bypass. These procedures are long lasting. The long-term patency rates are reported to be 65-90%. Axillobifemoral bypass is utilized in patients with high risk and poor general condition. The patency rates for this group vary between 50-85% in 5 years. The patient described would be an ideal candidate for axillobifemoral bypass.